Rural halth scheme was introduced by ?
1. Bhore committee
2. Mukherjee committee
3. Shrivastava committee
4. Mudaliar committee

Correct answer: 3. Shrivastava committee

Explanation: Rural health scheme ,1977 was an important recommendation of Shrivatsav committee.it was that primary health care should be provided wothin the community itself through specially trained workers so that the haelth of people is placed in hands of the people. Steps iniatiated are: A)For involvement of medical colleges in total health care of selected PHC s within the objective of reorienting medical education to needs of rural people. B) reorientation training of multipurpose workers engaged in control of various communicable disease programmes into unipurpose workers. Parks textbook of preventive and social medicine.K Park. Edition 23.Pg no: 875